Commonest cause of peptic ulcer disease:
1. NSAID ingestion
2. Smoking
3. H. pylori
4. Genetic factors

Correct answer: 3. H. pylori

Explanation: Ans. C. H.pylori It is now widely accepted that infection with H. pylori is the most important factor in the development of peptic ulceration followed by NSAID ingestion. Helicobacter pylori is a Gram-negative, microaerophilic bacterium that can inhabit various areas of the stomach and duodenum. It causes a chronic low-level inflammation of the stomach lining and is strongly linked to the development of duodenal and gastric ulcers and stomach cancer. Over 80% of individuals infected with the bacterium are asymptomatic. The most reliable method for detecting H. pylori infection is a biopsy check during endoscopy with a rapid urease test, histological examination, and microbial culture. The standard first-line therapy is a one week "triple therapy"